pH of amniotic fluid at later weeks of gestation :
1. 4.5
2. 6.5
3. 7
4. 7.2

Correct answer: 4. 7.2

Explanation: 7.2